FG, FFG, FFFG is used to indicate:
1. Cartridge
2. Black powder size
3. Base of gun
4. Wadding of cartridge

Correct answer: 2. Black powder size

Explanation: Ans. Black powder size